Well dressed man comes with a feeling of women trapped in his body, he is suffering from
1. Paraphilia
2. Transvestism
3. Gender identity disorder
4. Frotturism

Correct answer: 3. Gender identity disorder

Explanation: GENDER IDENTITY DISORDERSThese disorders are characterised by the disturbance in gender identity, i.e. the sense of one's masculinity or femininity is disturbed. This group includes:1. Transsexualism: Male and female; primary and secondary.2. Gender identity disorder of childhood.3. Dual-role transvestism.4. Intersexuality. TranssexualismTranssexualism, the severest form of gender identity disorders, is characterised by the following clinical features: 1. Normal anatomic sex.2. The persistent and significant sense of discomfort regarding one's anatomic sex and a feeling that it is inappropriate to one's perceived-gender.3. Marked preoccupation with the wish to get rid of one's genitals and secondary sex characteristics, and to adopt sex characteristics of the other sex (perceived-gender).4. Diagnosis is made after puberty. Ref: A Short Textbook of Psychiatry, Niraj Ahuja, 7th Edition, pg. no. 121